All of the following conditions are associated with an increase in the concentration of 2 - 3 Biphosphoglycerate (2, 3 BPG), EXCEPT:
1. Inosine
2. Anemia
3. Hypoxia
4. Hypoxanthine

Correct answer: 4. Hypoxanthine

Explanation: Hypoxanthine does not increase the concentration of 2,3 DPG in RBCs. Hypoxanthine is a purine base formed as an intermediate in the degradation of purines and purine nucleosides to uric acid and in the salvage of free purines. When complexed with ribose it is inosine. There is no literature of hypoxanthine affecting 2-3 DPG levels. But, inosine can increase 2,3 BPG levels. Inosine is an uncharged molecule, it enter the red blood cell where its ribose moiety is release, phosphorylated and enters the hexose monophosphate pathway eventually being converted to 2,3 BPG. Ref: Review of Medical Physiology, 22nd Edition By William F Ganong, Pages 668-9; Textbook of Anesthesia for Post Graduates By T. K Agasthi, Page 79